Which of the following drug is a direct inhibitor of clotting factor Xa?
1. Apixaban
2. Argatroban
3. Fondaparinux
4. Aspirin

Correct answer: 1. Apixaban

Explanation: Important ones are: - (1) Rivaroxaban (2) Apixaban (3) Edoxaban (4) Betrixaban (a) Argatroban - Direct thrombin inhibitor (synthetic non-peptide compound which binds reversibly to the catalytic site of thrombin but not to the substrate recognition site) (b) Fondaparinux - Indirect thrombin inhibitor. (d)Aspirin - Inhibit COX and thus Thromboxane A2 synthesis inhibitor